First external sign of decomposition in a dead body:
1. Decomposition of liver and intestine
2. Greenish discoloration over right iliac fossa
3. Greenish discoloration over dependent parts
4. Bloodstained froth from mouth

Correct answer: 2. Greenish discoloration over right iliac fossa

Explanation: Ans. Greenish discoloration over right iliac fossa